Which is the best imaging modality in pheochromocytoma?
1. MIBG Scintigraphy
2. Somatostatin Scintigraphy
3. PET DOPA
4. MRI abdomen

Correct answer: 4. MRI abdomen

Explanation: MRI Abdomen has higher sensitivity than the remaining choices. Imaging Sensitivity Specificity CT ++++ +++ MRI ++++ +++ MIBG scintigraphy +++ ++++ Somatostatin receptor scintigraphy ++ ++ Fluoro - DOPA PET/CT +++ ++++